Treatment modalities for myopia are –a) Radial keratotomyb) LASER Keratomileusisc) Epikeratophakiad) LASER Keratoplasty
1. ac
2. a
3. ad
4. ab

Correct answer: 4. ab

Explanation: Surgeries for myopic are Radial keratotomy, Photorefractive keratotomy, Laser in-situ keratomileusis (LASIK), Extraction of the lens, Phallic intraocular lens (IOL), Intracorneal ring implantation, Orthokeratology.